A 62-year-old man with a 40-pack/year history of smoking presents with increased sputum production and marked SOB. On examination, he is using accessory muscles of respiration, and breath sounds are diminished with expiratory wheezes. Your clinical diagnosis is chronic obstructive pulmonary disease (COPD) exacerbationFor the above patients, select the characteristic arterial pulse finding.
1. pulsus tardus
2. pulsus paradoxus
3. hyperkinetic pulse
4. bisferiens pulse

Correct answer: 2. pulsus paradoxus

Explanation: Pulsus paradoxus, a drop of > 10 mm Hg in systolic blood pressure during inspiration, is caused by pericardial tamponade, airway obstruction, or superior vena cava obstruction. At times, the peripheral pulse may disappear completely during inspiration.